Delayed separation of umbilical cord stump is seen in?
1. Chediak Higashi syndrome
2. Chronic granulomatous disease
3. Leukocyte adhesion deficiency
4. All of the above

Correct answer: 3. Leukocyte adhesion deficiency

Explanation: Usually umbilical cord separates within 1 week after birth. In LAD-1 separation is delayed.